Muscle of tongue develop from:
1. Hypobranchial eminence.
2. Occipital myotome.
3. Lingual swelling.
4. Tuberculum impar.

Correct answer: 2. Occipital myotome.

Explanation: Muscles of tongue - Occipital somites
Development of Tongue:
Anterior 2/3rd - 1st arch ( Tuberculum impar & 2 lingual swellings)
Posterior 1/3rd - 3rd arch ( Cranial part of hy